First local anesthetic used in clinical anesthesia was :
1. Bupivacaine
2. Procaine
3. Lidocaine
4. Cocaine

Correct answer: 4. Cocaine